Parotid gland contains
1. Serous acini
2. Mucinous acini
3. Serous and mucinous acini with equal proportion
4. 75 % serous acini and 25 % mucinous acini

Correct answer: 1. Serous acini

Explanation: Parotid glands - Contain serous acini
Sub lingual glands - Contain mucious acini
Minor salivary glands - Contain mucious acini
Submandibular glands - Contain both serous and mucinous acini